Constituents of nasal septum include all except:
1. Vomer
2. Perpendicular plate of palatine
3. Quadrangular cartilage
4. Maxillary crest

Correct answer: 2. Perpendicular plate of palatine

Explanation: Perpendicular plate of palatine bone forms posterior part of lateral wall of nose. It is the perpendicular plate of ethmoid which forms nasal septum.